Which of these best describes the renal angle ?
1. Angle between the lattissimus dorsi and the 12th rib
2. Angle between the erector spinae and the iliac crest
3. Angle between the 12th rib and the erector spinae
4. Angle between the 12th rib and the rectus abdominis

Correct answer: 3. Angle between the 12th rib and the erector spinae

Explanation: An area located on either side of the human back between the lateral borders of the erector spinae muscles and inferior borders of the twelfth rib, so called because the kidney can be felt at this location. iamgeref - researchgate.net